Anticancer drug(s) which does/do not suppress bone marrow ?
1. 5-FU
2. Cisplatin
3. Chlorambucil
4. Vincristine

Correct answer: 4. Vincristine

Explanation: Ans. D. VincristineAnticancer drugs with bone marrow sparing effect:VintistineBleomycinAsparaginase